35 years old man presenting with acute pancreatitis.  Ideal fluid of choice
1. Isotonic crystalloid
2. Hypertonic crystalloids
3. Hypotonic crystalloid
4. Vasopressin

Correct answer: 1. Isotonic crystalloid

Explanation: Ref. API Textbook of Medicine. Pg. 813
 
Most imp consideration in the management of acute pancreatitis is conservative approach

Fluids >Pain >Nutrition >Inflammation
Ideal fluid of choice is Isotonic crystalloids
1st line management : NPO , IV Fluids ,IV antibiotics, IV anti inflammatory  + Blood investigations (Amylase and lipase)